Diagnostic criteria for ARDS include all except
1. Bilateral alveolar infiltrates
2. PaO2 / FiO2 >=300 mm Hg
3. Acute onset
4. Pulmonary capillary wedge pressure <= 18 mm Hg

Correct answer: 2. PaO2 / FiO2 >=300 mm Hg

Explanation: Diagnostic Criteria for ARDSSeverity: OxygenationMild: Pao2/Fio2 300-2 00 mmHgModerate: Pao2/Fio2 200-100 mmHgSevere: Pao2/Fio2 <= 100 mmHgOnsetAcuteChest RadiographBilateral alveolar or interstitial infiltratesAbsence of Left Atrial HypeensionPCWP <=18 mmHg or no clinical evidence of increased left atrial pressureRef: Harrison 19e pg: 1736